The neurotransmitter that is associated with suicidal tendencies is:
1. Serotonin
2. GABA
3. Nor-epinephrine
4. Acetylcholine

Correct answer: 1. Serotonin

Explanation: A i.e. Serotonin